Preferred incision for abdominal exploration in Blunt injury abdomen is :
1. Always Midline incision
2. Depending upon the organ
3. Transverse incision
4. Paramedian

Correct answer: 1. Always Midline incision

Explanation: • Preferred incision for emergency abdominal exploration is a long midline incision.
• Bailey says “The routine approach for abdominal trauma is full midline Laparotomy”
• Schwartz says “All emergency abdominal explorations are performed using a long midline incision because of its versatility.”